Dalen fuch's nodules is seen in :
1. Bacterial endophalmitis
2. Diabetic retinopathy
3. Coats ds
4. Sympathetic opthalmitis

Correct answer: 4. Sympathetic opthalmitis

Explanation: Ans. is 'd' ie Sympathetic ophthalmitis